'Rosette cataract' is caused by:
1. Diabetes
2. After cataract
3. Trauma
4. Gaucher's disease

Correct answer: 3. Trauma

Explanation: Ans. c (Trauma) (Ref: Parson's Disease of Eye 19th/pg. 283; Basak Ophthalmology 2nd/pg. 82, 305).CATARACTContusion cataractContusion of the eyeball will produce a rosette-shaped subcapsular opacity on the anterior surface of the lens. It will normally remain unchanged but will migrate into the deeper cortex over time due to the apposition of new fibers.Lamellar (Zonular) cataractIt is the most common developmental cataract.Opacities are located in one layer of lens fibers, often as "riders" only in the equatorial region.Nuclear cataractIn the fourth decade of life, the pressure of peripheral lens fiber production causes hardening of the entire lens, especially the nucleus. The nucleus takes on a yellowish brown color (brunescent nuclear cataract). This may range from reddish brown to nearly black discoloration of the entire lens (black cataract). Nuclear cataracts develop very slowly. Due to the lenticular myopia, near vision (even without eyeglasses) remains good for a long time.Cortical cataractNuclear cataracts are often associated with changes in the lens cortex. It is interesting to note that patients with cortical cataracts tend to have acquired hyperopia in contrast to patients with nuclear cataracts, who tend to be myopic.# Berlin's edema (commotio retinae) is a condition caused by blunt injury to the eye. Berlin's edema is an acute traumatic maculopathy characterized by retinal opacification. Histopathologic studies have shown that it is characterized by disruption of photoreceptor outer segments and retinal pigment epithelial damage. OCT an effective tool for management of patients with posterior segment trauma. OCT is more comfortable for the traumatized patient than other imaging techniques because it is a non-contact method utilizing infrared illumination. OCT is also highly sensitive in identifying subtle anatomic changes.Educational points: CataractFeatureAfter-cataract (Post cap opacity)Elschnig pearl & Rings of SoemerringsBrown/Cataract brunescensNuclear/hard cataractBlack cataract/Cataract nigransNuclear/hard cataractBlue dot cataract (Punctate)Most common congenital cataractComplicated cataract'Bread crumb' appearanceConcussion cataract'Rossete-shaped' cataractCoronary cataractDevelopmental cataract at pubertyChalcosisSunflower cataractDiabetic cataract'Snow flake/storm' appearanceHypermature senile cataractMorgagnian cataractLamellar/ZonularRidersMyotonic dystrophyCataract with polychromatic dots ("Christmas-tree")